Small cell Ca lung, DNA of the necrotic cells get deposited on vessels?
1. Psammoma body
2. Azzopardy effect
3. Button collar lesion
4. Necrotic diathesis

Correct answer: 2. Azzopardy effect

Explanation: Ref: Internet SourcesExplanation:Azzopardi phenomenon:In necrotic areas of tumor, dark blue DNAliberated from dead cells sometimes coats vessel walls.The tumor cells surrounding the vessels show coagulative necrosis. The pink area at the lower right shows karyolysis of tumor nuclei.